Which of the following is a renin inhibitor?
1. Candesartan
2. Aliskiren
3. Quinopril
4. benzapril

Correct answer: 2. Aliskiren

Explanation: Ans. is 'b' i.e., Aliskiren Drugs acting on RASACE inhibitors: Captopril, enalapril, lisinopril, ramipril, perindopril, imidapril, trandopril, benazepril, fosinopril.Renin inhibitors: Aliskiren, remikiren, enakiren.ATj blockers : Losartan, candesartan, irbesartan, valsartan, telmisartan.